An adult male accused of rape is brought for medical examination within 12 hours. Rape is not indicated if there is
1. Presence of non-retractile prepuce
2. Presence of smegma on glans penis
3. Absence of injury marks on private parts
4. All of the above

Correct answer: 2. Presence of smegma on glans penis

Explanation: Smegma:- cheesy secretion of sebaceous glands, consisting mainly of desquamated epithelial cells on corona glandis. Smegma usually requires about 24 hours to collect. The absence of smegma may indicate that intercourse might have been performed but presence of smegma rules out possibility of complete penetration because smegma gets rubbed off during intercourse Smegma will also be removed by bathing or washing.